The simplest form of pulp therapy is
1. Apicocectomy
2. Pulp capping
3. Pulpectomy
4. Pulpotomy

Correct answer: 2. Pulp capping